IgA nephropathic deposits are senn in-
1. SLE
2. HSP
3. Kawasaki disease
4. Wegner's granulomatosis

Correct answer: 2. HSP

Explanation: The etiology of IgA nephropathy remains unclear: i) It is idiopathic in most cases. ii) Seen as part of Henoch-Schonlein purpura. iii) Association with chronic inflammation in various body systems (e.g. chronic liver disease, inflammatory bowel disease, interstitial pneumonitis, leprosy, dermatitis herpetiformis, uveitis, ankylosing spondylitis, Sjogren's syndrome, monoclonal IgA gammopathy IgA nephropathy, characterized by mesangial deposits of IgA-containing immune complexes, is the most common cause of the nephritic syndrome worldwide; it is also a common cause of recurrent hematuria; it commonly affects children and young adults and has a variable course. Henoch-Schonlein purpura is a systemic hypersensitivity disease of unknown cause characterized by a purpuric rash, colicky abdominal pain (presumably due to focal hemorrhages into the gastrointestinal tract), polyarthralgia, and acute glomerulonephritis. All these changes result from the deposition of circulating immune complexes within vessels throughout the body and within the glomerular mesangial regions. Ref: Robbins basic book of pathology 9th edition page 531 Ref: Textbook of pathology Harsh Mohan 6th edition page 674